True about hepatocelluar ca is -a) Associated with HBV and HCVb) Cirrhosis is predisposing factorc) Fibrolamellar variety is not associated with cirrhosisd) Low propensity of vascular invasione) Alcoholic cirrhosis does not predispose to HCC
1. abc
2. bc
3. acd
4. bcd

Correct answer: 1. abc

Explanation: "All patterns of hepatocellular carcinomas have a strong propensity for invasion of vascular channels." - Robbins